25 yrs old labourer 3 yrs back presented with penile ulcer which was not treated. Later he presented with neurological symptoms for which he got treated. Test to monitor response to treatment is-
1. VDRL
2. FTA ABS
3. TPI
4. RPR

Correct answer: 1. VDRL

Explanation: Labourer is suffering from neurosyphilis. Best test to monitor response to treatment is VDRL- CSF, Blood Titer of > 1:8 is +ve and titre of <1:8 is a False +ve VDRL.